Regarding antrochonal polyp which one is true -
1. Origin from maxillary sinus and goes to nasopharynx
2. Present with severe bleeding
3. Bilateral
4. Seen in elderly person

Correct answer: 1. Origin from maxillary sinus and goes to nasopharynx

Explanation: Antrochoanal polyp arises from maxillary sinus and grows backward in the nose towards the choana, and can reach nasopharynx.